Which animal is used to test pathogenicity in Cryptococcus neoformans?
1. Mice
2. Guinea pig
3. Rabbit
4. Monkey

Correct answer: 1. Mice

Explanation: CD1-cryptococcus D strain-infected mice were examined for survival and fungal loads in either brain or lung during the course of infection. Ref: Baveja 5th ed pg: 565